Which of the following is most useful in Rx of Kostmann's Syndrome?
1. Sargramostim
2. Aldesleukin
3. Oprelvekin
4. Filgrastim

Correct answer: 4. Filgrastim

Explanation: Filgrastim (G-CSF) Cyclic neutropenia; results best in Rx of Kostmann syndrome Sargramostim (GM-CSF)- Cyclic neutropenia Oprelvekin (interleukin-11) -Thrombocytopenia Aldesleukin (interleukin-2) -Renal cell carcinoma, metastatic melanoma a-interferon- Hepatitis B and C, Kaposi sarcoma, Leukemias, Malignant melanoma b-interferon- Multiple sclerosis g-interferon- Chronic granulomatous disease